Thanatophobia is ?
1. Fear of closed space
2. Fear of social performance
3. Fear of strangers
4. Fear of death

Correct answer: 4. Fear of death

Explanation: Ans. is 'd' i.e., Fear of death